All the following ovarian neoplasm secrete hormone, except
1. Granulosa cell tumor
2. Dysgerminoma
3. Hilus cell tumor
4. Theca cell tumor

Correct answer: 2. Dysgerminoma

Explanation: Granulosa cell tumors and the a cell tumors secrete progesterone resulting in secretory hypertrophy Hilus cell tumor is a virilizing tumor secreting male sex hormones Dysgerminoma is a germ cell tumor, don't secrete hormones Ref: Shaw Gynecology 17 e pg 448,444.